Painful vaginal ulcer with inguinal lymphadenopathy and school of fish appearance of microorganism on microscopy are characteristic of -
1. Syphilis
2. LGV
3. Granuloma inguinale
4. Chancroid

Correct answer: 4. Chancroid

Explanation: Ans. is 'd' i.e., Chancroid